Which of the following is characteristic of a dissociative disorder?
1. Amnesia
2. Depression
3. Phobia
4. Paranoia

Correct answer: 1. Amnesia

Explanation: In conversion or dissociative disorders, there is a loss or disturbance of normal motor or sensory function which initially appears to have a neurological or other physical cause but is later attributed to a psychological cause there are several presentations of dissosiative disorders namely dissosiative amnesia dissosiative fugue dissosiative identity disorder dissosiative possesion/trance Clinical features: Amnesia: Memory loss, most often for recent events, not attributable to organic mental disorder, and too severe to attribute to ordinary forgetfulness. Usually patchy and selective amnesia--true global amnesia is rare. There is an expectation of recovery and usually, a history of recent traumatic event gradually emerges. Others: Paralysis, Loss of speech, Sensory loss, Seizures and Fugue Reference: Oxford Textbook of Psychiatry; 3rd edition; Chapter 19; Conversion (Dissociative) Disorders